Latest treatment in BPPV is:
1. Intralabyrinthine streptomycin
2. Intralabyrinthine steroids
3. Valsalva manoeuvre
4. Epley's manoeuvre

Correct answer: 4. Epley's manoeuvre

Explanation: Epley's manoeuvre or the repositioning manoeuvre involves repositioning the debris from posterior semicircular canal back into the utricle by placing the patient's head in a sequence of five positions.